Which of the following condition is NOT an indication for using thalidomide for treatment?
1. Prurigo nodularis
2. Erythema nodosum leprosum
3. Impetigo
4. Behcet's disease

Correct answer: 3. Impetigo

Explanation: Indications for using thalidomide: Erythema nodosum leprosum Multiple myeloma Actinic prurigo Aphthous stomatitis Behcet's disease Kaposi sarcoma Cutaneous manifestations of lupus erythematosus Prurigo nodularis Uremic prurigo Ref: Burkhart C., Morrell D., Goldsmith L. (2011). Chapter 65. Dermatological Pharmacology. In L.L. Brunton, B.A. Chabner, B.C. Knollmann (Eds), Goodman & Gilman's The Pharmacological Basis of Therapeutics, 12e.